Which of the following is the first sign that appear in hemorrhagic shock?
1. Hypotension
2. Tachycardia
3. Hypertension
4. Syncope

Correct answer: 2. Tachycardia